Most common ALL subtypes?
1. Pre Bcell
2. Pre T cell
3. T cell
4. B cell

Correct answer: 1. Pre Bcell

Explanation: Most common subtype of ALL is L1 according to older classification and pre B cell variety by the latest WHO classification. The recent WHO international panel on ALL recommends that the FAB classification be abandoned since the morphological classification has no clinical or prognostic relevance. It instead advocates the use of the immunophenotypic classification.( ref Robbins 9th/590)